Clutch claw and ball appearance is seen in -
1. Pemphigus
2. Lichen planes
3. Lichen nitidus
4. Psoriasis

Correct answer: 3. Lichen nitidus

Explanation: The histology of lichen nitidus is very typical and described as the 'claw and ball' appearance: Focal dense lymphohistiocytic infiltrate in the upper dermis very close to the epidermis. Langhans giant cells are often present in the infiltrate. Rete ridges of the epidermis are elongated and 'clutch' the infiltrate. Red blood cells are seen just under the epidermis in the haemorrhagic/purpuric form. Eosinophilic dermal material with some cell nuclei may be seen within the epidermis in the perforating variant. Ref - pubmed.com